5. In rhinosporidiosis,the following is true:
1. Fugal granuloma
2. Grayish mass
3. Surgery is the treatment
4. Radiotherapy is treatment

Correct answer: 3. Surgery is the treatment

Explanation: It has long been considered to be a fungus but it has been difficult to classify this organism. It has not been cultured so far. Some consider it to be a protozoa or a fish parasite belonging to DRIP clade (Dermocystidium, Rosette agent, Ichthyophonus and Psorospermum). Ref: Dhingra 7e pg 177.